Patients should be cautioned not to consume alcohol when given a prescription for any of the following EXCEPT:
1. Cefixime
2. Cefoperazone
3. Chlorpropamide
4. Metronidazole

Correct answer: 1. Cefixime

Explanation: Drugs showing disulfiram like reaction with alcohol are: Cefamandole, Cefoperazone, Cefotetan Moxalactam Chlorpropamide Metronidazole Griseofulvin Procarbazine